All are decreased in infiltrative lung disease, except:
1. Vital capacity
2. Alveolar arterial difference in PaO2
3. Total lung capacity
4. Lung compliance

Correct answer: 2. Alveolar arterial difference in PaO2

Explanation: Answer is B (Alveolar arterial difference in PaO2) If the gas exchange at alveolar capillary level occurs normally, the alveolar arterial difference in PaO2 is not elevated. In infiltrative lung disease the alveolar capillary bed is damaged and there is a decrease in diffusion capacity. This results in an increase in alveolar arterial differences in Part O2.